Which of the following anticoagulant can be used as invivo and invitro also:
1. Heparin.
2. Warfarin.
3. Oxalates.
4. EDTA.

Correct answer: 1. Heparin.

Explanation: Oxalates, citrates, EDTA are used as invitro anticoagulants.
Dicoumoral and warfarin are used as invivo coagulants.